The type of Hodgkin's lymphoma include -
1. Nodular sclerosing
2. Lymphocyte depletion
3. Mixed cellularity
4. All

Correct answer: 4. All

Explanation: Ans. is 'a' i.e., Nodular sclerosing; 'b' i.e., Lymphocyte depletion; 'c' i.e., Mixed cellularity Hodgkin lymphoma o The term "Hodgkin lymphoma" encompasses a group of lymphoid neoplasm that is characterized by the presence of distinctive neoplastic giant cells called Reed-Sternberg cells. o Reed-sternberg cells induce the accumulation of reactive lymphocytes, histiocytes (macrophages), and granulocytes. o The WHO classification recognizes five subtypes of Hodgkin lymphoma : - LI Nodular sclerosis Lymphocyte rich Lymphocytic predominance Mixed cellularity Lymphocytic depletion